Which of the following is neurotoxic -a) Sea snakeb) Russel viperc) Kraitd) Cobrae) Pit viper
1. ab
2. bc
3. cd
4. de

Correct answer: 3. cd

Explanation: Kraft and Cobra are neurotoxic.